A 30 year old male patient presented with anterior granulomatous uveitis, arthralgia and respiratory difficulties. Probable diagnosis is
1. Ocular sarcoidosis
2. TB
3. Behcet's syndrome
4. HLA B27 Uveitis

Correct answer: 1. Ocular sarcoidosis

Explanation: A i.e. Ocular sarcoidosis - Bechet's syndrome and HLA B27 associated uveitis are ruled out as both are non granulomatous. Sarcoidosis may cause granulomatous pan-uveitis, periphlebitis (causing candle wax drippingsQ or en taches de bougie), pulmonary lesions (Vt progressive dyspnea, pulmonary HTN & cor pulmonary), skin lesions (erythema nodosum, lupus perniaQ granulomatous deposits), neuropathy, arthritis/ arthralgiaQ (typically symmetrical, involving both large & small joints), bone cysts & renal /liver / lymph node disease.